Thick walled fungal resting spores formed by condensation of hyphal elements are:
1. Basidiospore
2. Arthrospore
3. Chlamydospores
4. Blastospore

Correct answer: 3. Chlamydospores

Explanation: Ans: C (Chlamydospores) Ref: Ammthnarayan R. Panther CKJ. Textbook of Microbiology. 8th Edition. Hyderabad: Universities Press: 21)09. Pg. 601 Explanation: Arthrospore: A spore formed by segmentation and fragmentation of vegetative hyphae, usually but not always in a chain. Commonly seen in Trichosporon, Geotrichum. Coccidioides. Blastospore: A spore formed through a budding process as seen in yeast. Chlaniydospore: A thick-walled resting spore formed within a hyphal segment. It is formed by condensation from an intercalary or terminal hyphal cell and contains stored food and is capable of functioning as a resting spore. Seen in Candida.